Which is the most common presentation of cardiac lupus?
1. Myocarditis
2. Pericarditis
3. Aortic regurgitation
4. Libman sacks endocarditis

Correct answer: 2. Pericarditis

Explanation: Pericarditis is the most common cardiac abnormality in SLE Echocardiography is a sensitive and specific technique in detecting cardiac abnormalities, particularly mild pericarditis, valvular lesions and myocardial dysfunction- should be performed periodically in SLE patients. Vascular occlusion, including coronary arteries, may develop due to vasculitis, premature atherosclerosis or anti-phospholipid antibodies associated with SLE. Premature atherosclerosis is the most frequent cause of coronary artery disease (CAD) in SLE patients.